At same concentration of steroids which of the following is most potent
1. Ointment
2. Cream
3. Lotion
4. Gel

Correct answer: 1. Ointment

Explanation: Refer Katzung 11/e p 1048 Ointment bases tend to give Better activity to the corticosteroids than do cream or lotion Ability of the voice to retard evaporation from the surface of skin varies.